In retinal artery angiogram, the dye is injected through the:
1. Peripheral veins
2. Aorta
3. Retinal artery
4. Retinal vein

Correct answer: 1. Peripheral veins

Explanation: Ans. Peripheral veins